All are true regarding bleaching powder, except -
1. Contains about 33% of available chlorine
2. It is stable compound
3. White amorphous compound
4. Strong bleaching agent

Correct answer: 2. It is stable compound

Explanation: Bleaching powder (Chlorinated lime) CaOCl2 It is a white amorphous powder with a pungent smell which contains 33% of available chlorine. It is an UNSTABLE compound. It can be stabilised by mixing with an excess of lime. It should be stored in dark, cool and dry place in a closed container that is resistant to corrosion. Park's Textbook of Preventive and Social Medicine, 25th edition, Page No. 776